Which of the following causes pseudotumour cerebrii -
1. Chronic subdural hematoma
2. Cerebellar tumours
3. Hypervitaminosis A
4. Cerebral hemangiomas

Correct answer: 3. Hypervitaminosis A